Lovibond angle is:
1. Angle between the iris and cornea
2. Angle between the long axis of the forearm and the long axis of upper arm
3. Angle between nail bed and proximal nail fold
4. Angle between manubrium sternum and body of sternum

Correct answer: 3. Angle between nail bed and proximal nail fold

Explanation: Lovibond angle or Hyponychial angle - Angle between nail bed and proximal nail fold - Normally around 1600. - It is >1800 in digital clubbing. It is described as a 'profile sign'